Nutmeg liver is seen in -
1. Right sided heart failure
2. Left sided heart failure
3. Increased pulmonary pressure
4. Decreased pulmonary pressure

Correct answer: 1. Right sided heart failure

Explanation: The combination of hypoperfusion and retrograde congestion (Chronic passive congestion) acts synergistically to generate centrilobular hemorrhagic necrosis. The liver takes on a variegated mottled appearance reflecting hemorrhage and necrosis in the centrilobular regions, know as nutmeg liver.
Chronic passive congestion is seen in RHF